Twitch of a single motor unit is called
1. Myoclonic jerk
2. Fasciculation
3. Tremor
4. Fibrillation

Correct answer: 2. Fasciculation

Explanation: Contraction of a single muscle fiber is called fibrillation.Involuntary contractions of individual motor units are termed as fasciculations.Ref: Robbin's' 9th edition; Chapter 28 The Central Nervous System